Supraomohyoid dissection is a type of -
1. Selective neck dissection
2. Modified radical neck dissection
3. Radical neck dissection
4. Posterolateral dissection

Correct answer: 1. Selective neck dissection

Explanation: Ans. is 'a' i.e., Selective neck dissection Types of neck lymph node dissectiono Radical neck dissection - is the traditional gold standard for control of cervical metastasis.- RND involves removal of levels I to V of the cervical lymph nodes + Sternocleidomastoid, IJV and the spinal accessory nerve (CN XI).o Modified radical neck dissection is modification of RND that preserves nonlymphatic structures i.e. CN XI, SCM and IJV. MRND has been found to be equally effective in controlling neck disease as RND with superior functional outcome.o Selective neck dissection - Preservation of any of the levels I through V during neck dissection is known as Selective neck dissection - The principle behind preservation of certain nodal groups is that specific primary sites preferentially drain their lymphatics in a predictable pattern. Types of SND include the supraomohyoid neck dissection, the lateral neck dissection, and the posterolateral neck dissection.